True about scrub typhus is?
1. Transmitted by larva of trombiculid mite
2. Incubation period is 3-4 days
3. Eschar is diagnostic
4. Caused by Rickettsia typhi

Correct answer: 1. Transmitted by larva of trombiculid mite